Which carpal bone fracture causes median nerve involvement?
1. Scaphoid
2. Lunate
3. Trapezium
4. Trapeziod

Correct answer: 2. Lunate

Explanation: A palmar pole fracture of lunate may cause carpal tunnel syndrome and median nerve compression.